Anitschow cells are ?
1. Modified macrophages
2. Modified neutrophils
3. Modified B cells
4. Modified RBCs

Correct answer: 1. Modified macrophages

Explanation: Ans. is 'a' i.e., Modified macrophagesPathologic Features of Acute Rheumatic Fever :?Aschoff bodiesFocal inflammatory lesions consisting of foci of T lymphocytes, occasional plasma cells, and plump activated macrophages.These activated macrophages called Anitschkow cells (pathognomonic for Rheumatic Fever) have abundant cytoplasm and central round-to- ovoid nuclei (occasionally binucleate) in which the chromatin condenses into a central, slender, wavy ribbon (hence also called "caterpillar cells").Pancarditis - During acute RF, diffuse inflammation and Aschoff bodies may be found in any of the three layers of the heart, resulting in pericarditis, myocarditis, or endocarditisVerrucae are small (1 to 2 mm) vegetations overlying necrotic foci and along the lines of closure of valves.MacCallum plaques are irregularly thickened subendocardial lesions usually in the left atrium.Mitral stenosis Fish Mouth or Button - Hole stenosis.